The pivot test is for:
1. Anterior cruciate ligament
2. Posterior cruciate ligament
3. Medial meniscus
4. Lateral meniscus

Correct answer: 1. Anterior cruciate ligament

Explanation: The pivot shift test was positive for anterior cruciate deficiency. A pivot shift demonstrates a non-functioning ACL. Ref: Surgical Techniques for the Knee By Fred D. Cushner, W. Scott, Giles R. Scuderi, 2006 ; Apley's System of Orthopaedics and Fractures, 8th Edition, Pages 705, 708